A most common cause of intestinal obstruction is?
1. Ileocaecal tuberculosis
2. Carcinoma colon
3. Intussusception
4. Adhesions

Correct answer: 4. Adhesions

Explanation: Adhesions and bands are the commonest causes of intestinal obstruction in Western countries. In India, hernia and then adhesions are the two common causes of intestinal obstruction. Clinical features

Pain abdomen—colicky type and recurrent and episodic
Distension, vomiting
Constipation
Reduced bowel sounds on auscultation
Previous surgical scars commonly observed
Dehydration, tachycardia, hypotension.